Spiral valve is seen in which -
1. Neck of gall bladder
2. Cystic duct
3. Colon
4. Pylorus

Correct answer: 2. Cystic duct

Explanation: The mucons membrane of the cystic duct forms a series of 5-12 crescentic folds, arranged spirally to form the so called spiral valve of Heister. This is not a true valve.